A membrane in the throat is caused by all except
1. Streptococcus
2. Staphylococci
3. Borrelia
4. Cornyebacteria

Correct answer: 2. Staphylococci

Explanation: Hemolytic streptococcus is the most common infecting organismDifferential Diagnosis of Membrane on Tonsili. Membranous tonsillitisii. Leukemiaiii. Diphtheriaiv. Aphthous ulcerv. Vincent's anginavi. Malignancy of tonsilRef: Hazarika; 3rd ed; Pg 479